All of the following can be used to predict severe acute pancreatitis EXCEPT:
1. Glasgow score 3
2. APACHE II score 9
3. CT severity score 6
4. C-reactive protein < 100

Correct answer: 4. C-reactive protein < 100

Explanation: Ans. D i.e. C-reactive protein < 100 Acute pancreatitis MC cause: Gallstones Investigation which can cause acute pancreatitis: ERCP Grey turner sign: Blue-red-purple or green-brown discoloration due to catabolism of hemoglobin Diagnosis: Fecal fat estimation, CT scan is the diagnostic modality Best prognosis: Gall stone pancreatitis Recurrent pancreatitis occurs in: Methyl malonic acidemia Conditions with raised serum amylase: - Pancreatitis, Renal failure, - Ruptured ectopic pregnancy etc.